The epicardium is one of the three layers of the heart. It is:
1. Continuous with the endocardium.
2. Also known as the visceral pericardium.
3. Composed of modified cardiac muscle cells.
4. Capable of increasing intraventricular pressure.

Correct answer: 2. Also known as the visceral pericardium.

Explanation: The pericardium is a fibroserous sac that encloses the heart. The innermost layer of the pericardium, the epicardium, is also known as the visceral pericardium.